Retinoblastoma can occur bilaterally in how many percentage of the cases?
1. 10-15%
2. 15-20%
3. 20-25%
4. 25-30%

Correct answer: 4. 25-30%

Explanation: 25-30% bilateral involvement . Seen in childrens between 1-2 yrs of age. Ref : ak khurana 6th edition